The cranial nerve with the largest intra cranial course is
1. Abducens nerve
2. Trochlear nerve
3. Optic nerve
4. Trigeminal nerve

Correct answer: 2. Trochlear nerve